Chromatolysis is:
1. Disintegration of Nucleus
2. Disintegration of golgi apparatus
3. Disappearance of nissel granules
4. Decrease in cell size

Correct answer: 3. Disappearance of nissel granules